Therapeutic index of a drug is an indicator of its-
1. Potency
2. Safety
3. Toxicity
4. Efficacy

Correct answer: 2. Safety

Explanation: Ans. is b' i.e., Safety "Therapeutic index is the ratio between the toxic dose and the therapeutic dose of a drug, and is used as a measure of the relative safety of the drug for a particular treatment."